neonatal conjunctivitis is caused by all except -
1. Gonococcus
2. Chlamydia
3. Aspergillus
4. Pseudononas

Correct answer: 3. Aspergillus

Explanation: Causative organism of ophthalmia neonatorum :- Comon causes are Gonococcus, Chlamydia, HSV. Other cause are staphylococcus aureus, pneumococcus, streptococcus, pseudononas, serratia, klebsiella. Chemical ophthalmia neonatorum is caused by use of silver nitrate or antibiotic prophylaxis. Ref: Pediatric opthlmology 4th/e p.55